Tractional retinal detachment is seen in:
1. Myopia
2. DM retinopathy
3. Trauma
4. Vitreous loss after Surgery

Correct answer: 2. DM retinopathy

Explanation: Ans. B: DM retinopathy There are three types of detachment: rhegmatogenous, which involves a retinal tear, and traction and serous (exudative) detachment, which do not involve a tear (nonrhegmatogenous). Rhegmatogenous detachment is the most common. Risk factors include the following: Myopia Previous cataract surgery Ocular trauma Traction retinal detachment can be caused by vitreoretinal traction due to preretinal fibrous membranes as may occur in proliferative diabetic or sickle cell retinopathy. Serous detachment results from transudation of fluid into the subretinal space. Causes include severe uveitis, especially in Vogt-Koyanagi-Harada syndrome, choroidal hemangiomas, and primary or metastatic choroidal tumors.